Most common drug used for prophylaxis of migraine is
1. Sumatriptan
2. Propranolol
3. Valproate
4. Flunarizine

Correct answer: 2. Propranolol

Explanation: Ref: HL Sharma 3rd ed Pg no: 191 beta blockers are the first line of choice for chronic migraine or migraine prophylaxis